Congenital Rubella Syndrome include all except
1. Cataract
2. VSD
3. Intracerebral hemorrhage
4. SN deafness

Correct answer: 3. Intracerebral hemorrhage

Explanation: Classical Gregg triad for Congenital Rubella Syndrome 1. Sensorineural Deafness 2. Cardiac malformation (mc is PDA ) 3. Cataract Other resulting defects like Glaucoma, Retinopathy, Microcephalus, Cerebral Palsy, IUGR, Hepatocyte-splenomegaly, Mental and motor retardation may also be present but they are not classically part of the triad. Infection in early pregnancy causes severe disease exposure in late pregnancy may cause only deafness